Which of the following is commonly used in narcoanalysis?
1. Atropine sulfate
2. Cannabinoids
3. Opium compounds
4. Thiopentone

Correct answer: 4. Thiopentone

Explanation: Ans. D. Thiopentonea. A truth drug or truth serum is a psychoactive medication used to obtain information from subjects who are unable or unwilling to provide it otherwise.b. The unethical use of truth drugs is classified as a form of torture according to international law.c. In the latter context, the controlled administration of intravenous hypnotic medications is called "narcosynthesis" or "narcoanalysis."d. It may be used to procure diagnostically- or therapeutically- vital information, and to provide patients with a functional respite from catatonia or mania.Active chemical substancesa. Sedatives or hypnotics that alter higher cognitive function include ethanol, scopolamine, 3-quinuclidinyl benzilate, temazepam, and various barbiturates including sodium thiopental (commonly known as sodium pentothal) and sodium amytal (amobarbital)Reliability* According to prevailing medical thought, information obtained under the influence of intravenously- administered sodium amytal can be unreliable; subjects may mix fact and fantasy in that context.* Skeptics imply that much of the claimed effect of the drug relies on the belief of the subject that he or she cannot tell a lie while under its influence.* Some observers also feel that amobarbital does not increase truth-telling, but merely increases talking; hence, both truth and fabrication are more likely to be revealed in that construct.